Supracondylar fracture is usually caused by -
1. Hyperflexion injury
2. Axial rotation
3. Extension injury
4. Hyperextension injury

Correct answer: 4. Hyperextension injury

Explanation: Supracondylar fracture (most common extension type) occurs due to hyperextension injury, usually due to fall on outstretched hand.
Flexion type of supracondylar fracture occurs due to fall directly on elbow.